Annual Under-five deaths globally reported are:
1. 6 million
2. 8 million
3. 10 million
4. 12 million

Correct answer: 1. 6 million

Explanation: Under-five Deaths: Burden: 6.3 million Under-five deaths in world (2014) Leading causes of deaths: (45% associated with PEM) Pneumonia Low birth weight and prematurity Birth asphyxia Diarrhoea Malaria Ref: WHO population data, WHO website, 24th edition Pgno: 609